A patient of hypertension on ACE inhibitors developed rosea skin erruptions. True statement regarding this situation is –
1. Drug may be the cause and discontinuation may improve the skin condition
2. High dose steroids are needed initially
3. ACE inhibitors are safe and cannot lead to skin eruptions
4. Drug may be the cause but discontinuation is not required

Correct answer: 1. Drug may be the cause and discontinuation may improve the skin condition

Explanation: Many drugs like ACE inhibitor can cause pityriasis rosea like lesions. Discontinuation of the offending drug will result in resolution of the lesion.